Burst fracture of cervical spine is due to:
1. Whiplash injury
2. Fall of weight on neck
3. Vertical compression injury
4. Car accident

Correct answer: 3. Vertical compression injury

Explanation: Jefferson fracture is burst fracture of ring of atlas (C1) vertebrae Burst fracture is a vertical compression fracture. Whiplash injury-Most cervical spine fractures occur predominantly at two levels - at the level of C2 or at C6 or C7. BURST FRACTURE: